Street rabies virus cause ?
1. Natural rabies
2. Loboratory passage in rabbit
3. Fatal encephalitis in 6 days
4. Negri bodies not seen

Correct answer: 1. Natural rabies

Explanation: Ans. is 'a' i.e., Natural rabies